Bennett movement is
1. Direct Lateral side shift of the mandible that occurs simultaneously with Lateral mandibular excursion
2. Direct lateral side shift of the mandible that occurs simultaneously with medial mandibular excursion
3. Direct medial side shift with medial mandibular excursion
4. Direct lateral side shift with medial mandibular excursion

Correct answer: 1. Direct Lateral side shift of the mandible that occurs simultaneously with Lateral mandibular excursion